Auer rods are specific for:
1. Acute myeloid leukemia
2. Acute lymphocytic leukemia
3. Chronic lymphocytic leukemia
4. Hodgkin's lymphoma

Correct answer: 1. Acute myeloid leukemia

Explanation: a. Acute myeloid leukemia(Ref: Nelson's 20/e p 2442-2443, Ghai 8/e p 605-607)Auer rods are Needle-like azurophilic fusiform inclusions in cytoplasm of myeloblastsAuer rods are most reliable morphological feature of AML; Myeloblasts Stain +ve with MPO and Sudan Black B